The maxillary nerve arises from the trigeminal ganglion in the middle cranial fossa. It passes forward in the lateral wall of the cavernous sinus and leaves the skull through which of the following foramen to enter the pterygopalatine fossa?
1. Foramen ovale
2. Foramen spinosum
3. Foramen rotundum
4. Foramen lacerum

Correct answer: 3. Foramen rotundum

Explanation: It arises from the trigeminal ganglion, runs forwards in the lateral wall of the cavernous sinus below the ophthalmic nerve, and leaves the middle cranial fossa by passing through the foramen rotundum. Next, the nerve crosses the upper part of the pterygopalatine fossa. In the pterygopalatine fossa, the nerve is intimately related to the pterygopalatine ganglion and gives off the zygomatic and posterior superior alveolar nerves. The posterior superior alveolar nerve enters the posterior surface of the body of the maxilla and supplies the three upper molar teeth and the adjoining part of the gum.Ref: BD Chaurasia's HUMAN ANATOMY, Volume 3, 6th edition.